Not a feature of rheumatic heart disease -
1. Chorea
2. Arthritis
3. Janeways lesion
4. Carditis

Correct answer: 3. Janeways lesion

Explanation: Acute rheumatic fever occurs most often in children; the principal clinical manifestation is carditis. Nevertheless, about 20% of first attacks occur in adults, with arthritis being the predominant feature. Symptoms in all age groups typically begin 2 to 3 weeks after streptococcal infection, and are heralded by fever and migratory polyarthritis-- one large joint after another becomes painful and swollen for a period of days, followed by spontaneous resolution with no residual disability. (1) carditis; (2) migratory polyarthritis of large joints; (3) subcutaneous nodules; (4) erythema marginatum skin rashes; and (5) Sydenham chorea, (Robbins basic pathology,9th edition,pg no.392)